Glaucoma associated with intraocular tumours is due to
1. Trabecular block by tumour cells
2. Neovascularization of the angle
3. Venous stasis following obstruction to vortex veins
4. All the above

Correct answer: 4. All the above